Atkin's diet is
1. Protein restricted low calorie diet
2. Carbohydrate restricted low calorie diet
3. Fat restricted low calorie diet
4. Mineral restricted low calorie diet.

Correct answer: 2. Carbohydrate restricted low calorie diet

Explanation: Carbohydrate restricted low calorie diet Traditionally, fat restricted, low calorie diet has been used for weight loss. Atkin's proposed a new theorey for weight loss based on carbohydrate restricted low calorie diet